Which one of the following drugs causes constipation?
1. Propranolol
2. Verapamil
3. Nitroglycerin
4. Captopril

Correct answer: 2. Verapamil

Explanation: Ans. is 'b' i.e., Verapamil Drugs causing constipation : Aluminium Hydroxide Ion exchange resins Verapamil Calcium carbonate Barium sulphate Opiates Ferrous sulphate Ganglionic blockers Phenothiazines Tricyclic antidepresants